All of the following are false regarding classes if immunoglobulin except :
1. IgM has maximum half-life of 23 days
2. IgE has least serum concentration of 0.00004 mg/ml
3. IgG has maximum sedimentation co-efficient of 19
4. IgD has a carbohydrate concentration of 8 %

Correct answer: 2. IgE has least serum concentration of 0.00004 mg/ml

Explanation: Highest serum half-life and serum concentration is of IgG. Least serum half-life and serum concentration is of IgE. Highest sedimentation coefficient is of IgM IgG IgM IgA IgD IgE Serum concentration 12 mg/ml 1.2 mg/ml 2 mg/ml 0.03 mg/ml 0.00004 mg/ml Half-life 23 d 5 d 6 d 2-8 d 1-5 d Molecular wt. 150,000 900,000 160,000 180,000 190,000 Carbohydrate 2-3% 12% 8% 13% 12% Sedimentation coeff 7 19 7 7 8